A 32-year-old male is on a weight-maintenance diet, so he does not want to lose or gain any weight. Which amino acid must be present in the diet so the patient does not go into a negative nitrogen balance?
1. Alanine
2. Arginine
3. Glycine
4. Threonine

Correct answer: 4. Threonine

Explanation: The lack of one essential amino acid will lead to a negative nitrogen balance because of increased protein degradation to supply that amino acid for the ongoing protein synthesis. Of the amino acids listed, only threonine is an essential amino acid (alanine can be synthesized from pyruvate , arginine is produced in the urea cycle using aspartic acid and the amino acid ornithine, glycine is derived from serine, and serine is derived from 3-phosphoglycerate, which can be produced from glucose).